A 16-year-old male, despondent over a recent breakup, tries to commit suicide by taking an unknown quantity of an unknown material he found at home. He is brought to the emergency center by his parents within 30 minutes of the ingestion. For which of the following household materials and medications should he be given activated charcoal as part of his emergency center treatment?
1. Drain cleaner
2. Ethylene glycol
3. Bleach
4. Phenobarbital

Correct answer: 4. Phenobarbital

Explanation: The absorption of certain toxins from the GI tract is diminished by the use of activated charcoal administered during the first few hours after the ingestion. The typical dose is 1 g/kg, or 10 to 30 g for a child or 30 to 100 g for an adult. Activated charcoal exerts its effect by adsorbing particles of toxin on its surface. Compounds not adsorbed include alcohols, acids, ferrous sulfate, strong bases (such as drain cleaners and oven cleaners), cyanide, lithium, and potassium. For drugs with an enterohepatic circulation (eg, phenobarbital and tricyclic antidepressants), or those with prolonged absorption (eg, sustained-release theophylline), the use of multiple-dose activated charcoal can be effective in decreasing the half-life and increasing the total body clearance of the toxic substance.